Root value of pudendal nerve -
1. S1S2S3
2. S2S3S4
3. S3-S4
4. S2-S3

Correct answer: 2. S2S3S4

Explanation: Ans. is 'b' i.e., S2S3S4 NerveRoot valveo Sciatic nervey Tibial nervey Common peroneal nerveL-4,5 S1,2,3L-4.5 S1,2,3L-4,5 S1,2o Superior gluteal nerveL-4,5 S1o Inferior gluteal nerveL5S1,2o The nerve to quadratus femorisL-4,5 S1o Nerve to obturatus internusL5S1,2o Superior gemellusL-4,5S1o Inferior gemellusL4,5 S1,2o The posterior cutaneous nerve of thighS1,2,3o Pudendal nerveS1, S3, S4o Perforating cutaneous nerveS2,3